Which of the following statements is true about BCG vaccination ?
1. Distilled water is used as diluent for BCG vaccine
2. The site for injection should be cleaned thoroughly with spirit
3. WHO recommends Danish 1331 strain for vaccine production
4. Mantoux test becomes positive after 48 hours of vaccination

Correct answer: 3. WHO recommends Danish 1331 strain for vaccine production